Which of the following Fontanelle is the last to close:
1. Anterior fontanelle
2. Posterior Fontanelle
3. Anterolateral fonatnelle
4. Posterolateral fontanelle

Correct answer: 1. Anterior fontanelle

Explanation: The anterior fontanelle is the last to close around the middle of the second year (18 months). The anterior fontanelle is also the most important because it is the largest and last to close. Sequence of Fontanelle closure : Posterior fontanelle(Lambdoid) : 2-3 months Anterolateral Fontanelle(Sphenoidal): 6 months Posterolateral Fontanelle (Mastoid): 6-18 months Anterior Fontanelle(Bregmatic): 18 months Reference : Ghai essentials 9th edition Pg no : 10